Secular trend is
1. Long term
2. Short term
3. Both
4. None

Correct answer: 1. Long term

Explanation: The term secular trend implies changes in the occurence of diseases (i.e. A progressive increase or decrease)over a long period of time generally several years or decades.(refer pg no: 66 park 23 rd edition)